Auer rods are formed from?
1. Primary granules
2. Secondary granules
3. Myeloperoxidase
4. All of these

Correct answer: 1. Primary granules

Explanation: ANSWER: (A) Primary granulesREF: Robbins 8th edition page 63'Auer rods are formed from Azurophil granules which are also known as Primary granules"